Psychodynamic theory of mental illness is based on
1. Unconscious internal conflict
2. Maladjusted reinforcement
3. Organic neurological problem
4. Focus on teaching patient to restrain absurd thoughts

Correct answer: 1. Unconscious internal conflict

Explanation: Psychodynamic theory concentrates on unresolved childhood conflicts leading to adult symptoms. Like in case of Specific phpbia, A symbolic basis for a fear rooted in some unresolved early trauma. Ref: Basics of Psychotherapy: A practical guide to improving clinical success, 1e, Pg 41.